Following is true regarding sulhydryl groups except?
1. They are present in coenzyme A and lipoic acid
2. They are present in Captopril and penicillamine
3. They are not involved in reduction of peroxides
4. They are present in cysteine

Correct answer: 3. They are not involved in reduction of peroxides

Explanation: Ans. is 'c' i.e., They are not involved in reduction of peroxides Sulfhydryl Group (or thiol group) It is an SH group of organic compounds. Sulfhydryl groups have great and varied reactivity. They oxidize easily, with the formation of disulfides and sulfenic, sulfinic, or sulfonic acids, and they readily undergo alkylation, acylation, and thiol-disulfide exchange. They form mercaptides upon reacting with the ions of heavy metals, and they form mercaptals and mercaptols upon reacting with aldehydes and ketones, respectively. Sulfhydryl groups play an important role in biochemical processes. The sulfhydryl groups of coenzyme A, lipoic acid, and 4'-phosphopantotheine participate in enzymatic reactions for the formation and transfer of acyl residues that are related to lipid and carbohydrate metabolism. The sulfhydryl groups of glutathione play an important role in the neutralization of foreign organic compounds and the reduction of peroxides; they are also of major importance in the fulfillment by glutathione of its function as a coenzyme. In proteins, residues of the amino acid cysteine have sulfhydryl groups. As components of the active centers of a number of enzymes, sulfhydryl groups participate in the catalytic effect of the enzymes and in the binding of substrates, coenzymes, and metal ions. Drugs containing sulfhydryl groups are: captopril, zofenopril and penicillamine.